All of the following statements about nesiritide except
1. It is a BNP analogue
2. It can be used decompensated CHF
3. It can be administered orally
4. It causes loss of Na+ in the urine

Correct answer: 3. It can be administered orally

Explanation: (Ref CMBT 2014/396; KDT 6/e p507) Nesiritide is a recombinant BNP. It produces vasodilation and natriuresis. It has to be administered by iv. route. because being a peptide, it is metabolized by peptidases in GT It is used for acutely decompensated heart failure.